Which among the following is not a part of Waldeyer ring:
1. Lingual tonsil
2. Palatine tonsil
3. Adenoids
4. Thyroid gland

Correct answer: 4. Thyroid gland

Explanation: Ans: d (Thyroid gland) Ref: Dhingra 4th ed p 223Scattered lymphatics in the subepithelial layer of pharynx forms masses at certain places, collectively termed as waldeyer ring.The masses are:1) Nasopharyngeal tonsil (Adenoids)2) Palatine tonsil3) Lingual tonsil4) Tubal tonsil (in fossa of Rossen Muller)5) Lateral pharyngeal band6) Nodules in posterior pharyngeal wall.